The enzyme common to both glycogenolysis and glycogenesis is:
1. Glycogen phosphorylase
2. Glycogen synthase
3. Glucotransferase
4. Phosphoglucomutase

Correct answer: 4. Phosphoglucomutase

Explanation: Ans. D PhosphoglucomutaseThe combined action of phosphorylase and these other enzymes leads to the complete breakdown of glycogen. The reaction catalyzed by phosphoglucomutase is reversible, so that glucose 6-phosphate can be formed from glucose I-phosphate. In liver (and kidney), but not in muscle, glucose 6-phosphatase hydrolyzes glucose 6-phosphate, yielding glucose that is exported, leading to an increase in the blood glucose concentration. "